Pseudogout more commonly involves which joint
1. Shoulder
2. Hip
3. Knee
4. MTP joint of great toe

Correct answer: 3. Knee